Which is not the action of TGF-b
1. Anti-inflammatory
2. Proliferation of fibrous tissue
3. Inhibition of metalloproteinases
4. Anaphylaxis

Correct answer: 4. Anaphylaxis

Explanation: Ans. (d) Anaphylaxis(Ref: Robbins 9th/pg 86-87, 105, Immunology: Mucosal and Body Surface Defences, 4.8)Transforming growth factor-b (TGF-b) is the most important cytokine for the synthesis and deposition of connective tissue proteins. Other functions: Angiogenesis. Anti-inflammatory cytokineUp-regulation of tissue inhibitor of metalloproteinas- es-3 gene expression is done by TGF-beta in articular chondrocytes